Which of the following diseases is transmitted by egg ingestion -
1. Taeniasis
2. Trichinosis
3. Hydatoidosis
4. Strongyloidosis

Correct answer: 3. Hydatoidosis

Explanation: ingestion of eggs by man may occur in the following ways By direct contact with infected dogs Allowing the dog to feed from same infection (refer pgno:105 baveja 3 rd edition)